A mother brings her 2-year old boy with short history of pallor. Examination reveals pallor, petechiae and splenomegaly. Which of the following is the most likely diagnosis ?
1. Thalassaemia
2. Acute leukaemia
3. Hodgkin's lymphoma
4. Idiopathic trombocytopenic purpura

Correct answer: 2. Acute leukaemia

Explanation: clinical presentation in acute leukemia is pallor,petechiae,hepatosplenomegaly Reference: GHAI Essential pediatrics, 8th edition